'Take in' of split skin graft occurs when
1. Tight dressing is applied
2. Excessive discharge from wound
3. ss hemolytic streptococcus infection is present
4. Wound bed not vascularised

Correct answer: 1. Tight dressing is applied

Explanation: .take in occurs if there is close contact of graft with recepient bed and decreased when there is infection or pus draining or wound bed not vascularized